All muscles of tongue are supplied by hypoglossal nerve except
1. Geniologlossus muscle
2. Hypoglossus muscle
3. Styloglossus muscle
4. Palatoglossus muscle

Correct answer: 4. Palatoglossus muscle

Explanation: motor nerves All the intrinsic and extrinsic muscles except the palatoglossus are supplied by the hypoglossal nerve.The palatoglossus is supplied by the cranial root of the accessory nerve through the pharyngeal plexus. REF.BDC volume3 edition sixth pg no 268